At what temperature blood is stored:
1. —4°C
2. 4°C
3. 6°C
4. 8°C

Correct answer: 2. 4°C